True about Turner's syndrome is?
1. Normal breast
2. Normal gonads
3. Normal intelligence
4. Long stature

Correct answer: 3. Normal intelligence

Explanation: ANSWER: (C) Normal intelligenceREF: Harrison's 18th ed chapter 349, Robbins 7th edition page 179, http://en.wikipedia.org/wiki/Turner_syndromeRepeat from December 2010, December 2011Turner'ssyndrome45,X or45,X46,XXStreak gonad or immature ovaryExternalgenitalia-FemaleInternal genitaliaHypoplasticfemaleBreastImmaturefemaleClinical FeaturesInfancy: lymphedema, web neck, shield chest, low-set hairline, cardiac defects and coarctation of the aorta, urinary tract malformations and horseshoe kidneyChildhood: short stature, cubitus valgus, short neck, short 4th metacarpals, hypoplastic nails, micrognathia, scoliosis, otitis media and sensorineural hearing loss, ptosis and amblyopia, multiple new and keloid formation, autoimmune thyroid disease, visuospatial learning difficultiesAdulthood: pubertal failure and primary amenorrhea, hypertension, obesity, dyslipidemia, impaired glucose tolerance and insulin resistance, autoimmune thyroid disease, cardiovascular disease, aortic root dilation, osteoporosis, inflammatory bowel disease, chronic hepatic dysfunction, increased risk of colon cancer, hearing loss